Antipyschotic drug-induced Parkinsonism is treated by -
1. Anticholinergics
2. Levodopa
3. Selegiline
4. Amantadine

Correct answer: 1. Anticholinergics

Explanation: Ans. is 'a' i.e., Anticholinergics Parkisonism o Rigidity, tremor, hypokinesia, mask like facies, shuffling gate. o Between 1-4 weeks of therapy. o Treatment --> central anticholinergic (levodopa is ineffective).